Citrovorum factor is given along with all the following drugs except
1. Methotrexate
2. Pemetrexed
3. Pyrimethamine
4. Cytosine arabinoside

Correct answer: 4. Cytosine arabinoside

Explanation: Citrovorum factor or rescue factor or folinic acid - active form of folic acid is given along with antifolate drugs like Methotrexate, pemetrexed, pyrimethamine, cotrimoxazole, and 5 fluorouracil.Ref: Tripati 6th ed. Pg: 592